Jarish herxheimer reaction is seen in early cases of –
1. Syphilis
2. Gonorrhoea
3. LGV
4. Granuloma inguinale

Correct answer: 1. Syphilis

Explanation: JH reaction is produced by syphilis, Borreliosis (Lyme disease, Tick-borne relapsing fever), cat scratch disease, Q-fever, Brucellosis, Bartonellosis, Typhoid fever.